True about triage -
1. Yellow-least priority
2. Red - morbidity
3. Green-ambulatory
4. Blue-mabulatory

Correct answer: 3. Green-ambulatory

Explanation: - triage consists of rapidly classifying the injured on the basis of severity of their injuries and the likelihood of their survival with prompt medical intervention. - red colour triage indicates high priority treatment or transfer, yellow signals medium priority, green indicates ambulatory patients and black for dead and moribund patients. Reference: Park's textbook of preventive and social medicine, 23rd edition, pg no: 796